Corneal deturgescence is maintained by -
1. Epithelium
2. Endothelium
3. Stroma
4. Descmet's membrane

Correct answer: 2. Endothelium

Explanation: Endothelium consists of single layer of flat ploygonal epithelilal cells.It contains 'active pump' mechanism which keeps cornea dehydrated. Reference:Comprehensive Ophthalmology,AK Khurana,6th edition,pg no.96